Verocytotoxin of E. coli acts by -
1. Increasing cAMP
2. Decreasing cAMP
3. Decreasing protein synthesis
4. Decreasing cGMP

Correct answer: 3. Decreasing protein synthesis

Explanation: Ans. is 'c' i.e., Decreasing protein synthesis